Most common cause of acute mesenteric ischemia is:
1. Arterial thrombosis
2. Venous thrombosis
3. Embolism
4. Non occlusive disease

Correct answer: 3. Embolism

Explanation: Acute Mesenteric Ischemia :
• Emboli (50%) :
−− Arrhythmia, Valvular disease, Myocardial infarction
−− Hypokinetic ventricular wall
−− Cardiac aneurysm, Aortic atherosclerotic disease
• Thrombosis (25%) : Atherosclerotic disease
• Nonocclusive (5–15%) :
−− Pancreatitis, Heart failure, Sepsis.
−− Cardiac bypass, Burns, Renal failure.
• Venous occlusion:
−− Hypercoagulable state.
−− Sepsis Compression, Pregnancy, Portal hypertension.